All of the following poison's are dialyzable except-
1. Ethylene glycol
2. Methanol
3. Barbiturates
4. Copper sulphate

Correct answer: 4. Copper sulphate

Explanation: Hemodialysis is not useful in copper sulfate poisoning. It is useful in poisoning with other three given options.